The antiarrhythmic drug having effectiveness in a wide range of ventricular as well as supra–ventricular arrhythmias and acting mainly by prolongation of action potential is:
1. Quinidine
2. Amiodarone
3. Lignocaine
4. Tocainide

Correct answer: 2. Amiodarone